A child develop skin tumor ss na blisters on exposure to sunlight. Irregular dark spots on the skin were also found. He is very likely has defect in which of the following mechanism
1. Thymidine dimmers repair
2. Base excision repair
3. Mismatch repair
4. Double strand break repair

Correct answer: 1. Thymidine dimmers repair

Explanation: Ans. a. Thymidine dimmers repair